Which of the following is a phytosterol?
1. Sitosterol
2. Cholesterol
3. Ergosterol
4. Calcitriol

Correct answer: 1. Sitosterol

Explanation: Sterols are molecules with the cyclopentano-perhydro-phenanthrene (CPP) nucleus Sitosterol Plant (phyto) sterol Ergosterol Fungal (myco) sterol Cholesterol Animal (zoo) sterol Plant sterols (sitosterol) | absorption of cholesterol Sitosterolemia Autosomal recessive disorder Defects in either ABCG5 or ABCG8 | Plant sterol levels Xanthomas Atherosclerosis